Which nerve is not related to humerus -
1. Axillary
2. Radial
3. Ulnar
4. Musculocutaneous

Correct answer: 4. Musculocutaneous

Explanation: Ans. is 'd' i.e., Musculocutaneous o Surgical neck of humerus is related to axillary nerve.o Radial nerve passes through spiral groove (radial groove) on posterior surface of humerus,o Uiner nerve passes just behind the medial epicondyle of humerus.